Which egg does not float in a saturated solution of saline ?
1. Ankylostoma eggs
2. Trichuris eggs
3. Unfertilized egg of Ascaris
4. Fertilized egg of Ascaris

Correct answer: 3. Unfertilized egg of Ascaris

Explanation: Helminth eggs floating in saturated salt solution: Hell FATE Hell-Helminth,H.nana F-Fertilised eggs of Ascaris A-Ancylostoma duodenale T-Trichuris trichiura E-Enterobius vermicularis